TRUE regarding carcinoid of appendix is
1. Most commonly occurs at the base of the appendix
2. Most common neoplasm of the appendix
3. Most cases require right hemicleoctomy
4. Metastases are quite common

Correct answer: 2. Most common neoplasm of the appendix

Explanation: Carcinoid tumours arise in argentaffin tissue (Kulchitsky cells of the crypts of Lieberkuhn) and are most common in the vermiform appendix.The tumour can occur in any part of the appendix, but it is frequently found in the distal third.Unlike carcinoid tumours arising in other parts of the intestinal tract, carcinoid tumour of the appendix rarely gives rise to metastases. Appendicectomy has been shown to be sufficient treatment. Ref: Bailey & Love's Short Practice of Surgery,E25,Page-1217